A child who has not been vaccinated with H. influenzae comes to the OPD at 14 months. How many doses, including booster would you like to give to this child?
1. 4 doses
2. 3 doses
3. 2 doses
4. Only one dose

Correct answer: 3. 2 doses

Explanation: Haemophilus influenzae type b (Hib) conjugate vaccine schedule: * Minimum age: 6 weeks - Primary series includes Hib conjugate vaccine at ages 6, 10, 14 weeks with booster at 15- 18 months of age. If the child is brought: * At 6-12 months - 2 primary doses>= 8 weeks apart & 1 booster at 15-18 months; * At 12-15 months - 1 primary dose & 1 booster; * 15-60 months - Single dose This vaccine is not recommended beyond 5yrs of age except in pts with hypo/asplenia.